The granuloma is characterized by
1. Focal accumulation of activated macrophages
2. Collection of neutrophils
3. Newly formed vessels
4. Collection of eosinophils

Correct answer: 1. Focal accumulation of activated macrophages

Explanation: Granulomatous inflammation is a distinctive pattern of chronic inflammation characterized by aggregates of activated macrophages with scattered lymphocytes granuloma:-is an aggregation of macrophages surrounded by a collar of mononuclear cells principally lymphocytes Macrophages may get activated to form epithelioid cells Some of the cells may fuse together to form a bigger cell called a giant cell Older granulomas may have a rim of fibroblasts and connective tissue Common conditions resulting in granuloma formation with important features Tuberculosis Sarcoidosis (Non-caseating granuloma) Brucellosis Cat scratch disease (Stellate shaped or round granuloma) Syphilis (Gumma) Leprosy Inflammatory bowel disease ref pathology robbins 9th ed page 56